Umbrella configration on fluorescein angiogrphy is seen in -
1. Retinitis pigmentosa
2. Rhegmatous retinal detachment
3. Central serous retinopathy
4. Eale's disease

Correct answer: 3. Central serous retinopathy

Explanation: Central serous retinopathy is a retinal disorder characterised by serous retinal detachment in the macula affecting mostly young men ages 20-45 yrs. Fluorescein angiography shows two patterns- Ink blot pattern Smoke stack pattern - small hyperfluorescent spot which ascends vertically like a smoke stack and gradually spreads laterally to take a mushroom or umbrella configuration. Ref : Khurana page no. 293 edition 6th